True about Wilson’s disease
1. Decreased urinary excretion of copper
2. Increased ceruloplasmin in blood
3. Decreased copper and ceruloplasmin in serum
4. Decreased urinary excretion of ceruloplasmin

Correct answer: 3. Decreased copper and ceruloplasmin in serum

Explanation: In Wilson’s disease, there is almost always a failure of synthesis of ceruloplasmin; however, some 5% of patients have a normal circulating ceruloplasmin concentration and this is not the primary pathogenic defect. The amount of copper in the body at birth is normal but thereafter it increases steadily; the organs most affected are the liver, basal ganglia of the brain, eyes, kidneys and skeleton.